9th cranial nerve supplies which of the following?
1. Cricothyroid
2. Cricopharyngeus
3. Stylopharyngeus
4. Tensor veli palati

Correct answer: 3. Stylopharyngeus

Explanation: The stylopharyngeus arises from the styloid process It passes through the gap between the superior and middle constrictors to run downwards on the inner surface of the middle and inferior constrictors The pharynx is supplied by the pharyngeal plexus of nerves which lies chiefly on the middle constrictor.The plexus is formed by: 1.The pharyngeal branch of vagus nerve carrying fibres of the cranial accessory nerve 2.The pharyngeal branches of glossopharyngeal nerve 3.The pharyngeal branches of superior cervical sympathetic ganglion Ref BDC volume3,sixth edition pg 233